Which is not a somatoform disorder?
1. Body dysmorphic disorder
2. Obsessive compulsive disorder
3. Somatoform pain disorder
4. Hypochondriasis

Correct answer: 2. Obsessive compulsive disorder

Explanation: Obsessive-compulsive disorder (OCD) is characterized by obsessive thoughts and compulsive behaviors that impair everyday functioning. Fears of contamination and germs are common, as are handwashing, counting behaviors, and having to check and recheck such actions as whether a door is locked. The degree to which the disorder is disruptive for the individual varies, but in all cases, obsessive-compulsive activities take up >1 h per day and are undertaken to relieve the anxiety triggered by the core fear. The somatoform disorders are a group of psychological disorders in which a patient experiences physical symptoms that are inconsistent with or cannot be fully explained by any underlying general medical or neurologic condition. The somatoform disorders represent the severe end of a continuum of somatic symptoms Ref - Harrison 20thedition pg 3267